Flibanserin is used in the treatment of-
1. Female hypoactive sexual desire disorder
2. Erectile dysfunction
3. Anorgasmia
4. Dyspareunia

Correct answer: 1. Female hypoactive sexual desire disorder

Explanation: Flibanserin Newer drug (Serotonergic agent) Approved for the treatment of pre-menopausal women with hypoactive sexual desire disorder. Marketed under the name of 'Pink Viagra'.